Baclofen acts as -
1. GABAA receptor agonist
2. GABAB receptor agonist
3. GABAA receptor antagonist
4. GABAB receptor antagonist

Correct answer: 2. GABAB receptor agonist

Explanation: Ans. is 'b' i.e., GABAB receptor agonist There are two types of GABA receptors. 1. GABAA receptor - Intrinsic ion channel --> increases Cl- conductance, blocked by bicuculline, facilatated by benzodiazepines. 2. GABAB receptor - G protein coupled receptor; hyperpolarizes neurones by increasing IC conductance and altering Ca' flux, bicuculline has no effect, blocked by saclofen. o Baclofen acts as an agonist on GABAB receptor.